'Pseudo-isomorphic' phenomenon is seen with?
1. Vitiligo
2. Lichen planus
3. Psoriasis
4. Warts

Correct answer: 4. Warts

Explanation: Pseudo-isomorphic' phenomenon is seen with viral warts. other disease causing pseudo-isomorphic phenomenon that is moluscum contagiosum Isomorphic Phenomenon: Also called Koebner's phenomenon. Development of isomorphic pathologic lesions in the traumatized uninvolved skin of patients who have cutaneous diseases. Diseases causing true isomorphic phenomenon are Psoriasis,Lichen planus, vitiligo, lichen nitidus, etc.